To synthesize insulin on a large scale basis, the most suitable starting material obtained from the beta cells of the pancreas is
1. Genomic DNA
2. Total cellular RNA
3. cDNA of insulin
4. mRNA of insulin

Correct answer: 4. mRNA of insulin

Explanation: the mRNA act as messenger transporting the information in the gene in DNA to the protein synthesizing machinery in the cytoplasmRef: DM VASUDEVAN, 7th edition, page no: 558